Type I Membranoproliferative Glomerulonephritis is commonly associated with all except?
1. SLE
2. Hepatitis C infections
3. Captopril
4. Neoplastic

Correct answer: 3. Captopril

Explanation: Membranoproliferative Glomerulonephritis Type I disease (most common) Type II Type III Idiopathic Subacute bacterial endocarditis SLE Hepatitis C & cryoglobulinemia Mixed cryoglobulinemia Hepatitis B Cancer: Lung, breast, and ovary Idiopathic Dense deposit disease Idiopathic